Immunity acquired due to the injection ofimmunologically competent lymphocytes is termed as-
1. Inmate immunity
2. Adoptive immunity
3. Active immunity
4. Local immunity

Correct answer: 2. Adoptive immunity

Explanation: Adoptive immunity: a special type of immunisation is the injection of immunologically competent lymphocytes. - Instead of whole lymphocytes, an extract of immunologically competent lymphocytes, known as the transfer factor can be used. Reference: Anathanarayan & paniker's 9th edition, pg no:84